An important non-respiratory function of lungs
1. Anion balance
2. Sodium balance
3. Potassium balance
4. Calcium balance

Correct answer: 2. Sodium balance

Explanation: Extracellular ACE on the surface endothelial cells in pulmonary circulation activates Angiotensin I to Angiotensin II.
It also directly affects sodium balance through epithelial sodium channels.